Yellow fever vaccine is-
1. Killed vaccine
2. Live Attenuated vaccine
3. Toxoid
4. Subcellular vaccine

Correct answer: 2. Live Attenuated vaccine

Explanation: Ans. is 'b' i.e., Live Attenuated Vaccine Yellow fever vaccineo It is a live attenuated freez dried (lyophilized) vaccine, prepared from 17 D straino It is given by subcutaneous route at insertion of deltoid.o Immunity lasts from 7 days of vaccination till 35 years. The validity of the vaccination certificate begins 10 days after the date of vaccination and extends upto 10 years.o Diluent used for reconstitution is cold physiological saline and reconstituted vaccine should be used within 30 minutes. Cold chain temperature for storage is -30deg to +5degC.o Yellow fever vaccine is the only live vaccine that can be given in pregnancy, if required. Yellow fever and cholera vaccine cannot be given together, a minimum gap of 3 weeks is required between the two.